Which of the following is not a prognostic factor for Acute Pancreatitis
1. Serum Amylase
2. Serum Calcium
3. Serum Glucose
4. Serum AST

Correct answer: 1. Serum Amylase

Explanation: Answer is A (Serum Amylase) : Serum Amylase does not form any criteria for prognosis in Acute Pancreatitis. Although elevated serum amylase level is important for establishing diagnosis of acute pancreatitis, it plays no role in predicting prognosis or severity. "There appears to be no definite correlation between severity of pancreatitis and the degree of serum amylase elevation. After 48 to 72 hours, even with continuing evidence of pancreatitis, total serum amylase levels tend to return to normal." - Harrison Hyperglycemia (Glucose), Hypocalcemia (Calcium) and elevated serum AST are all poor prognostic factors in accordance with Ranson's criteria as elaborated in the previous question.